All of the following decreases the risk of necrotising enterocolitis (NEC) except
1. Lacto ferrin
2. Probiotics
3. L - arginine
4. Lipoprotein lipase

Correct answer: 4. Lipoprotein lipase

Explanation: Following decreases the risk of Necrotising Enterocolitis (NEC)

Antenatal Steroids
Lactoferrin is breast milk ⇒ ↓ Production of Pro - inflammation cytokines
Probiotis like Bifidobacterium
L - Arginine which is substrate for NO helps in Vasodilation.